True about coronary sinus
1. Lies in anterior part of the coronary sulcus
2. Ends in right atrium
3. Has venae cordis minimae as its tributaries
4. Develops from right anterior cardinal vein

Correct answer: 2. Ends in right atrium

Explanation: The coronary sinus is the largest vein of the heart. It is situated in the L. posterior coronary sulcus. Opens into the posterior wall of R. Atrium Tributaries: Great cardiac veins Middle cardiac vein Small cardiac vein Posterior vein of L. ventricle Oblique vein of L. atrium of marshal. R. marginal vein. It develops from the Left sinus venosus. venae cordis minimi or thebesian veins are small veins that open into the heart chambers directly.